Morbidly obese patients which is the inhalational agent of choice-
1. Halothane
2. Isoflurane
3. Desflurane
4. Enflurane

Correct answer: 3. Desflurane

Explanation: Desflurane has lowest blood : gas solubility and moreover its fat solubility is also very less. thus recovery very fast even in obese Thus Desflurane requires less downward titration in surgical procedures to achieve a rapid emergence by virtue of decreased tissue saturation. This may be particularly advantages in the morbidly obese patient.